Most abundant collagen in body is
1. Type I
2. Type II
3. Type V
4. Type VI

Correct answer: 1. Type I

Explanation: The collagen superfamily of proteins includes more than 25 collagen types, as well as additional proteins that have collagen-like domains. The three polypeptide a chains are held together by hydrogen bonds between the chains. Variations in the amino acid sequence of the a chains result in structural components that are about the same size (approximately 1,000 amino acids long), but with slightly different properties. These a chains are combined to form the various types of collagen found in the tissues. For example, the most common collagen, type I, contains two chains called a1 and one chain called a2 (a12a2)Ref: Lippincott's Illustrated Reviews: Biochemistry Fifth Edition Page no: 41